A 5 year old boy comes with overnight petechial spots 2 weeks back he had history of abdominal pain and no hepatosplenomegaly. Diagnosis is
1. Aute lymphatic leukemia
2. Aplastic anemia
3. Idiopathic thrombocytopenis purpura
4. Acute viral infection

Correct answer: 3. Idiopathic thrombocytopenis purpura

Explanation: most probable diagnosis here is ITP. in ALL there will be hepatosplenomegaly of a plastic anemia infection Symptoms Immune thrombocytopenia may have no signs and symptoms. When they do occur, they may include: Easy or excessive bruising Superficial bleeding into the skin that appears as pinpoint-sized reddish-purple spots (petechiae) that look like a rash, usually on the lower legs Bleeding from the gums or nose Blood in urine or stools Unusually heavy menstrual flow Reference: GHAI Essential pediatrics, 8th edition